Following are associated with high risk of ovarian cancer except
1. Endometriosis
2. Smoking
3. Obesity
4. Multiparity

Correct answer: 4. Multiparity

Explanation: Nulliparity is a risk factor for ovarian cancer.